According to ICDS, supplements given to a pregnant woman are:
1. 200 Kcal + 10 gms protein
2. 250 Kcal + 12 gms protein
3. 300 Kcal + 15 gms protein
4. None of these

Correct answer: 4. None of these

Explanation: Answer d (None of these) Supplementary Nutrition According to ICDS Scheme Children 6-72 months of age 500 calories + 12-15 gms of protein Severely malnourished children of 6-72 months of ag 800 calories + 20-25 gms protein Pregnant and nursing woman 600 calories + 18-20 gms of protein